Drug producing dissociative anesthesia:
1. Propofol
2. Enflurane
3. Ketamine
4. Sevoflurane

Correct answer: 3. Ketamine

Explanation: Ans: (c) KetamineRef: katzung 9th ed. 1604; KDT 6th ed./376* Ketamine is the only intravenous anesthetic that possesses analgesic properties and produces cardiovascular stimulation.* It causes "dissociative anesthesia" which is characterized by profound analgesia, immobility, amnesia and feeling of dissociation from ones own body and the surrounding.* In addition it also causes:# Hallucination# Delusion and illusion.# Profound analgesia* Ketamine increases all pressures like:# BP (hypertension)# Intracranial tension (ICT)# Intraocular pressure (IOP)* It is contraindicated in intracerebral mass/hemorrhage.About Ketamine: (Remembered as:)KKids: can be given to kidsEEmergence reaction: s/e occurring during recoveryTThalamo-cortical junction affected: Dissociative AnesthesiaAAnalgesia strongestMMeal: can be given with full stomachIIncrease: BP/IOP/ICTNNMDA receptor blockerEExcellent bronchodilator: inducing agent of choice in asthma patient.Also Kno* PROPOFOL causes myocardial depression and fall in BP.